Which of the following drugs can be administered by subcutaneous route?
1. Albuterol
2. Metaproterenol
3. Terbutaline
4. Pirbuterol

Correct answer: 3. Terbutaline

Explanation: terbutaline can be given as s.c (0.25mg) in asthma.